What is the most common cause of parasuicide?
1. Drug ingestion
2. Hanging
3. Cutting wrist
4. Firearms

Correct answer: 1. Drug ingestion

Explanation: Ans. a. Drug ingestion Parasuicide is a suicide attempt or gesture and self-harm where there is no result in death. It is a non7fatal act in which a person deliberately causes injury to him or herself or ingests any prescribed or generally recognized therapeutic dose in excess. It is considered to be a serious public health issue. Parasuicide is the strongest known indicator for a future successful suicide attempt. Examples of suicidal gestures include cutting, where the cut is not deep enough to cause significant blood loss, or taking a non-lethal overdose of medication.'- http://en.wikipedia.org/wiki/Parasuicide `Maximum cases of near-suicides are due to drug overdose. In India, wrist cutting is equally common, but drug overdose is by far the most common cause of parasuicide in the world.'- Methods used for parasuicide: results of the WHO/EURO Multicentre Study on Parasuicide.